The wood's lamp filter is made of -
1. Tin and chromium oxied
2. Nickel oxide and silica
3. Copper oxide and Barium oxide
4. Zinc oxide

Correct answer: 2. Nickel oxide and silica

Explanation: B i.e. Nickel oxide and silica